Maximum success rate in reversal of sterilization is achieved in cases which follow :
1. Pomeroy's technique
2. Parkland's technique
3. Uchida's technique
4. Laparoscopic ring application

Correct answer: 4. Laparoscopic ring application

Explanation: Laparoscopic ring application